Granular layer is absent in –
1. Ichthyosis vulgaris
2. X linked ischyosis
3. Epidermolytic hyperkeratosis
4. Lamellar ichthyosis

Correct answer: 1. Ichthyosis vulgaris

Explanation: In Ichthyosis vulgaris there is deficiency of filaggrin a protein found in granular layer. This results in absence of granular layer.